Which of the following is NOT true about antifungal drugs?
1. Amphotericin B is given only parenterally
2. Griseofulvin is effective orally
3. Ciclopirox olamine is effective in systemic mycoses
4. Fluconazole is effective orally as well as i.v.

Correct answer: 3. Ciclopirox olamine is effective in systemic mycoses